Diagnostic of antemortum drowning ?
1. Palatauf's hemorrhage
2. Weeds and grass in clenched hands
3. Emphysema aquosum
4. Water in esophagus

Correct answer: 2. Weeds and grass in clenched hands

Explanation: Ans. is 'b' i.e., Weeds and grass in clenched hands